A child with recent onset of URTI after 2 days presents with acute onset of a breathlessness cough and fever. All of the following can be given except –
1. Antipyretics
2. Morphine
3. Antibiotics
4. O2 inhalation

Correct answer: 2. Morphine

Explanation: Respiratory insufficiency after upper respiratory tract infection is the classic presentation of bronchiolitis.

Treatment of Bronchiolitis -

Treatment is essentially symptomatic.
The child should be nursed in a humid atmosphere.
O2 remains the mainstay of treatment.
Antibiotics - Though antibiotics have no role* but Ribavirin can sometimes be used.
If fever is present antipyretics can be used.
Continuous positive airway pressure.
β2 adrenergic drugs and Ipratropium bromide are also not recommended for infants < 6 months.